Rampal, 45 yr old man presents with history of recurrent hemoptysis and purulent sputum. His chest X-Ray is normal, which of the following will be the next best investigation for him?
1. HRCT
2. CT guided angiography
3. Angiography
4. Spiral CT

Correct answer: 1. HRCT

Explanation: Ans. is 'a' i.e. HRCT History of the pt. points towards the diagnosis of bronchiectasis. To rule out or confirm the diagnosis of bronchiectasis, HRCT is advised.Harrison writes - "In patients with suspected bronchiectasis, HRCT is now the diagnostic procedure of choice, having replaced bronchography."